Pt with low testosterone & low count will show can show all except -
1. Decreased FSH
2. Decreased LH
3. Increased FSH
4. Obstruction of spermatic duct

Correct answer: 4. Obstruction of spermatic duct

Explanation: Ans-DObstruction of spermatic duct "A high FSH level denotes primary gonadal failure. A normal FSH level with azoospermia suggests an obstructive lesion in vas or epididymis. A low FSH indicates pituitary or hypothalamic failure and needs FSH/LH/GnRH therapy. Prolactin level more than 30ng/ml indicates hyperprolactinemia requiring treatment Low testosterone level suggests LH or Leydig cell dysfunction. A'on response to GnRH suggests pituitary failure."